Radio opacity to composite resins is rendered by
1. Silica glass
2. Organic matrix
3. Barium glass and strontium glasses
4. Fluoride particles

Correct answer: 3. Barium glass and strontium glasses